Which of the following drug(s) comes in risk category B of FDA teratogenic risk categories for pregnancy:
1. Phenytoin
2. Resperidone
3. Olanazapine
4. Clozapine

Correct answer: 4. Clozapine

Explanation: Ans. D. ClozapineCategory A:No risk to fetus in human studiesLevothyroxinePotassiumSupplementationMgSO4Category BAnimal studies show no riskHuman studies are lackingPenicillinsCephalosporinsMacrolidesBrimonidineClozapine is rated FDA Pregnancy Category B, despite paucity of data.Reproductive studies performed in rats and rabbits at doses of approximately 2-4 times the human dose revealed no harm to the fetus.34In humans, information on the safety of clozapine in human pregnancies has been available since the early 1990sCategory CAnimal studies show Positive teratogenic riskHuman studies are not availableAlbuterolZidovudineCCBMorphineAtropineCategory DHuman and animal studies show positive teratogenic riskCan be used in pregnancy because of benefits greater than risk might be acceptable.CorticosteroidsAzathioprineCarbamazepineValproateMethotrexateLithiumCategory XHuman and animal studies show positive teratogenic riskAbsolutely contraindicated in pregnancy because of risk greater than benefits.ThalidomideisotretinoinFluoroquinolonesTetracyclinesChloramphenicolWarfarinACE inhibitors